Specimen containing viral particle is preserved in?
1. NaCl solution
2. Formaldehyde
3. 50% glycerine
4. Liquid nitrogen

Correct answer: 3. 50% glycerine

Explanation: Ans. (c) 50% glycerineRef. Textbook of forensic medicine and toxicology: Principles and practice by vij 4/e, p 33